False about Tinea versicolor
1. It is superficial fungal infection caused by Malassezia
2. Scratch sign is positive
3. Lesions can be both hypo & hyperpigmented
4. Wood's lamp examination gives Apple green Fluorescence

Correct answer: 4. Wood's lamp examination gives Apple green Fluorescence

Explanation: The lesions show "Pale yellow" Flourescene on Wood's lamp examination.